The medial bulging of pharynx is seen in:
1. Pharyngomaxillary abscess
2. Retropharyngeal abscess
3. Peritonsillar abscess
4. Paratonsillar abscess

Correct answer: 1. Pharyngomaxillary abscess

Explanation: Parapharyngeal space is also called lateral pharyngeal space and pharyngomaxillary space.